Most common inherited cause of Intellectual disability
1. Down's syndrome
2. Fragile X syndrome
3. Huntington's chorea
4. Ataxia telangiectasia

Correct answer: 2. Fragile X syndrome

Explanation: Most common inherited caused of Intellectual disability is Fragile X syndrome.